Skeletal muscle contraction ends when
1. Ions move out of cytoplasm
2. Ach is absorbed frm the nmj
3. Closure and indrawing of receptors
4. Decreased calcium outside reticulum

Correct answer: 4. Decreased calcium outside reticulum

Explanation: Muscle contraction ends usually when signals from motor neuron stops which repolarises sarcolemma and closes voltage gated calcium channals in sarcoplasmic reticulum. Ref:Guyton and Hall textbook of medical physiology 12th edition,page number:82,83